All of the following statements are true regarding ligamentum denticulatum except
1. It is a modification of arachnoid mater
2. They are 2 in number on each side with 21 triangular processes
3. It serves as a neurosurgical landmark for AP sectioning of spinal cord
4. Its having a serrated appearance

Correct answer: 1. It is a modification of arachnoid mater

Explanation: Ligamentum denticulatum is not a modification of arachnoid mater. It is a modification of the pia mater. The ligamentum denticulatum is a flat fibrous sheet on either side of the spinal cord present between the ventral and dorsal spinal roots. It serves as a neurosurgical landmark for hemisectioning of the spinal cord. (Option C) Its medial border is continuous with the subpial connective tissue and lateral border forms a series of 21 triangular processes on each side connecting it to the dura mater giving it a serrated appearance. (option B and Option D) The lowest of the dentate ligaments lies between the T12 and L1 spinal nerves. Ref: Gray's Anatomy 41st edition Pgno: 765